Select the best initial treatment for a patient with Behcet syndrome and ocular involvement
1. Topical glucocorticoids to the oral ulcers and conjunctiva
2. Thalidomide
3. Systemic glucocorticoids and azathioprine
4. Intralesional interferon A

Correct answer: 3. Systemic glucocorticoids and azathioprine

Explanation: Diagnostic Criteria of Behcet's Syndrome Recurrent oral ulceration Plus 2 of the following: Recurrent genital ulceration Ocular lesions Skin lesions Positive Pathergy test Rx: Condition Treatment Lesion in uveal/ oral cavity Topical Steroids CNS/ocular Systemic steroids Serious cases Thalidomide Recent study Apremilast(Phosphodiesterase-4 inhibitor) Mucocutaneous manifestations ,Arthritis Colchicine